Parboiling is done for
1. Milling process
2. Polishing of rice
3. Preservation of nutrition
4. Storage of rice

Correct answer: 3. Preservation of nutrition

Explanation: Parboiling Parboiling (partial cooking in steam) is ancient Indian technique of preserving the nutritive quality of rice. There are many techniques of parboiling. The technique recommended by the Central Food Technological Research Institute, Mysore is known as the hot soaking process. The process starts with soaking the paddy (unhusked rice) in hot water at 65 to 70 deg. C for 3 to 4 hours, which swells the grain. This is followed by draining of water and steaming the soaked paddy in the same container for 5 to 10 minutes. The paddy is then dried and later homepounded or milled. During the steaming process, a greater part of the vitamins and minerals present in the outer aleurone layer of the rice grain are driven into the inner endosperm. With subsequent milling, even to a high degree, the nutrients are not removed. During the drying process, the germ gets attached more firmly to the grain. In addition, the heat used in drying hardens the rice grain. It results in the grain becoming more *resistant to insect invasion and more suitable for storage than raw rice. The starch also gets gelatinized which improves the -keeping quality of rice. The serious disadvantage of parboiling is the development of a peculiar smell or "off flavour" which some consumers do not relish. Modern methods of parboiling rice have been developed by which the finished product does not give any bad odour. Ref : Park 25th edition Pgno : 665